In which of the following condition is SHBG synthesis decreased?
1. Hyperthyroidism
2. Increased estrogen
3. Increased androgen
4. Pregnancy

Correct answer: 3. Increased androgen

Explanation: Increase in androgen level is associated with decrease in SHBG synthesis. Other factors leading to decreased SHBG synthesis are: Obesity Hypothyroidism Excess glucocorticoids Also know: Factors leading to increased SHBG synthesis are: Estrogen Pregnancy Hyperthyroidism Ref: Endocrine Pathophysiology, Second Edition By C. B. Niewoehner, page 285